The following clinical presentation qualify for the term "Severe Falciparum Malaria" EXCEPT
1. Severe anemia
2. Acidosis
3. Pulmonary oedema
4. High grade fever with rigors

Correct answer: 4. High grade fever with rigors